A 21 year old woman presents to her physician with a swelling on her neck. On examination, she is diagnosed with an infection within the carotid sheath. Which of the following structures would be damaged?
1. Vagus nerve and middle cervical ganglion
2. Internal carotid artery and recurrent laryngeal nerve
3. Internal jugular vein and vagus nerve
4. Sympathetic trunk and common carotid artery

Correct answer: 3. Internal jugular vein and vagus nerve

Explanation: Carotid sheath Anterior layer derived from pre tracheal layer Posterior layer - pre vertebral layer CHOICE EXPLANATION & ELIMINATION REASON 1 Not correct 2 Not correct 3 Content of carotid sheath 4 Not correct